True about carbohydrate absorption?
1. Glucose absorption occurs independent of sodium
2. Fructose absorption occurs dependent on Na
3. Fructose absorption occurs SGLT 1
4. Fructose absorption is not by secondary active transpo

Correct answer: 4. Fructose absorption is not by secondary active transpo

Explanation: Ans. is 'd' i.e., Fructose absorption is not by secondary active transpoGlucose absorption Fructose absorption along the apical side is by GLUT 5 transpoer.GLUT 5 transpoer is an example of facilitated passive diffusionFructose absorption along the basolateral side is by GLUT 5 transpoer or through GLUT 2 transpoerThus Fructose absorption along both apical side and basolateral side is by facilitated passive diffusion.